Hemochromatosis affects all of the following organs except:
1. Liver
2. Pancreas
3. Heart
4. Salivary gland

Correct answer: 4. Salivary gland

Explanation: Deposition of hemosiderin in the following organs (in decreasing order of severity):- Liver cirrhosis Pancreas fibrosis Myocardium Pituitary gland Adrenal gland Thyroid -Skin pigmentation is partially attributable to hemosiderin deposition in dermal macrophages and fibroblasts, most of the pigmentation results from increased epidermal melanin production -In the liver, iron becomes evident first as golden-yellow hemosiderin granules in the cytoplasm of periportal hepatocytes that stain with Prussian blue